Glutathione reductase assay is helpful in assessing the deficiency of
1. Niacin
2. Vit B5
3. Pyridoxine
4. Riboflavin

Correct answer: 4. Riboflavin